A 25 year old male collage student present to emergency after road traffic accident.patient is in state of shock and breath sounds are decreased on side of chest trauma (left side).normal heart sound ,no elevated JVP and dull note on percussion. diagnosis?
1. Tension pneumothorax
2. Cardiac tamponade
3. Massive Hemothorax
4. None

Correct answer: 3. Massive Hemothorax

Explanation: Patient with chest trauma in shock without elevated JVP suggest massive Hemothorax.